Leading questions are NOT permitted in:
1. Cross-examination
2. Examination-in-Chief
3. Questions by the Judge
4. All

Correct answer: 2. Examination-in-Chief

Explanation: Ans. Examination-in-Chief